Which of the following is the abductor of vocal cords?
1. Lateral cricoarytenoid
2. Posterior cricoarytenoid
3. Anterior cricoarytenoid
4. Cricothyroid

Correct answer: 2. Posterior cricoarytenoid

Explanation: Muscles acting on vocal cords: Abductor of vocal cord: Posterior cricoarytenoid Adductors: Lateral cricoarytenoid, interarytenoid (transverse arytenoid), thyroarytenoid (external part Tensors: Cricothyroid vocalis (internal part of thyroarytenoid)